All are true about congenital ptosis except
1. Stimulus deprivation amblyopia may occur if treatment is delayed
2. Lid lag on downgaze
3. Prominence of lid crease
4. Loss of lid crease

Correct answer: 3. Prominence of lid crease

Explanation: Answer- C. Prominence of lid creasePtosis is drooping ofupper eyelid.Congenital myogenis ptosis-It is the most common type of ptosis.Associated with congenital weakness of levator palpebrae sperioris.Characterised by drooping of eye lids with absent lid crese and lid lag on downgaze.